Paris green is a -
1. Stomach poison
2. Contact poison
3. Repellent
4. Rodenticide

Correct answer: 1. Stomach poison

Explanation: Paris green or copper acetoarsenite is emerald green, microcrystalline powder practically insoluble in water. Paris green is a stomach poison and to be effective it must be ingested by larvae. Paris green kills anopheles larvae as they are surface feeders. Bottom feeding larvae are also killed when applied as special granular formulation. The recommended dose is 1 kg of actual Paris green per hectare of water surface. Paris green is a stomach poison used as an anti-larval measure to control mosquito. Park's Textbook of Preventive and Social Medicine, 25th Edition, Pg 832